Following are tests to confirm blood stains except
1. Phenolphthalein test
2. Takayamma test
3. Florence test
4. Teichmann's test

Correct answer: 3. Florence test

Explanation: To find out whether the stain is blood or Not: 1. Catalytic color test Phenolphthalein test Ortho-toluidine test Benzedine test 2. Crystal test Hemin crystal test(Teichmann's test) Hemochromogen crystal test(Takayamma test) Ref: FORENSIC MEDICINE AND TOXICOLOGY Dr PC IGNATIUS THIRD EDITION PAGE 317